Triple orthodesis consists of fusion of which three joints of foot?
1. Subtalar + Calcaneocuboid + Talonavicular joints
2. Subtalar + Tibiofibular + Talonavicular joints
3. Subtalar + Tarsometatarsal + Talonavicular joints
4. Subtalar + Talocalcaneal + Talonavicular joints

Correct answer: 1. Subtalar + Calcaneocuboid + Talonavicular joints

Explanation: Ans. a (Subtalar + Calcaneocuboid + Talonavicular joints)# Subtalar joint is talocalcaneocuboid (TCC) joint.(TCC-CCTN =>TaloCalcaneoCuboid + CalcaneoCuboid +TaloNavicular joints). (Mnemonic: TCC-CCTN).TRIPLE ORTHODESIS# Used in treatment of CTEV (Congenital talipes equino vrtfus).# Performed after the age of 12 years.